Visually-evoked response (VER) is useful in the diagnosis of all of the following except:
1. Retinitis pigmentosa
2. Retrobulbar neuritis
3. Visual potential in eyes with opaque media
4. Optic atrophy

Correct answer: 1. Retinitis pigmentosa

Explanation: Ans. Retinitis pigmentosa